Colon cut off sign is seen in
1. Acute pancreatitis
2. Chronic pancreatitis
3. Pancreatic carcinoma
4. Ulcerative colitis

Correct answer: 1. Acute pancreatitis

Explanation: Colon cut off sign - Distension of the colon upto the transverse colon with a paucity of gas distal to splenic flexure - seen in Acute pancreatitis.